Oxime is not useful in case of which poisoning
1. Parathion
2. Carbaryl
3. Malathion
4. Phosmet

Correct answer: 2. Carbaryl

Explanation: Ref:HL Sharma 3rd ed pg no: 147 oximes are cholinesterase reactivators- not used in carbamate poisoning like carbaryl, propoxur as anionic site of ACHE is not free they can be used for OP poisoning